Bone resorption markers are all except ?
1. Tartarate resistant acid phosphatase
2. Osteocalcin
3. Cross linked-N-telopeptides
4. Urine total free deoxypyridinolone

Correct answer: 2. Osteocalcin

Explanation: Ans. is 'b' i.e., OsteocalcinOsteocalcin is marker of bone formation (not bone resorption). Biological markers of bone growtho Bone specific alkaline phosphatase o Osteocalcino Type I collegen extension peptideof bone destruction (resorption)o HydroxyprolineTaerate resistance acid phosphataseCross linked-N-telopeptideCross linked-C-telopeptideUrine total free deoxypyridinolone